Gitelman's syndrome resembles the effects of which of the following drugs?
1. Thiazide
2. Furosemide
3. Spironolactone
4. Amiloride

Correct answer: 1. Thiazide

Explanation: Ans. is 'a' i.e., Thiazide Gitelman's s syndrome* Gitelmans syndrome is due to mutations in the thiazide-sensitive Na-Cl co-transporter, NCCT, in the distal convoluted tubule (DCT). Defects in NCCT in Gitelman's syndrome impair sodium and chloride reabsorption in the DCT and thus resemble the effects of thiazide diuretics. It remains unclear how this defect leads to severe mag- nesium wasting.* Gitelman's syndrome is more common than Bartter's syndrome and has a generally milder clinical course with a later age of presentation. It is characterized by prominent neuromuscular symptoms and signs, including fatigue, weakness, carpopedal spasm, cramps, and tetany.* Gitelman's syndrome is distinguished from most forms of Bartter's syndrome by the presence of severe hypomagnesemia and hypocalciuria.